Kaposi's sarcoma is associated with:
1. Bronchial asthma
2. HIV
3. Hepatitis B
4. Hairy cell leukaemia

Correct answer: 2. HIV

Explanation: Ans: b (HIV) Ref: Harrison's 16th ed, p. 1120, 17th ed. p. 1113Kaposi's sarcoma is associated with HIV in adults.Kaposi's sarcoma- It is an intermediate grade, multicentric vascular tumour- It is an angioproliferative disease- It is due to excessive proliferation of spindle cells that are of vascular originClinical featuresMost commonly it appears as raised macules hut can also present as papular or nodular lesions.Occurs in sun exposed areas e.g.. tip of noseAlso affects other areas like GIT. lymph node, lungsVarious forms of Kaposi sarcoma1) Classical form seen in older men of Mediterranean or Eastern European origin. Not associated with AIDS2) Equatorial African form that occurs in all ages3) Kaposi sarcoma associated with organ transplantation4) KS associated with HIV-1 infectionRx:Spontaneous regression is seenSingle lesion- Localized radiation- Intralesional vinblastine- CryotherapyMultiple lesions- Interferon alpha (1st choice)- Liposomal daunorubicin- Liposomal doxorubicin- PaclitaxelNOTE:Lymph node involvement is seen very early in Kaposi sarcoma and is of no special clinical significance in contrast to most other malignancies.KS is usually rare in children.